Mallory denk bodies are seen in all except
1. Wilson's disease
2. Alcoholic fatty liver disease
3. Non alcoholic fatty liver disease
4. Hemochromatosis

Correct answer: 4. Hemochromatosis

Explanation: Mallory denk bodies are not seen in Hemochromatosis and 2o biliary cirrhosis.